Gettler test detects
1. Magnesium content of blood in drowning
2. Weight of lungs in drowning
3. Chloride content of blood in drowing
4. All of the above

Correct answer: 3. Chloride content of blood in drowing

Explanation: Gettler test estimates chloride content of blood is drowning. It is helpul in differentiating  fresh water drowning from sea water drowning.